Which does not cause sideroblastic anaemia-
1. INH
2. Chloramphenicol
3. Myelodysplastic anaemia
4. Mercury

Correct answer: 4. Mercury

Explanation: sideroblastic anemia etiology: Drugs :INH, pyrazinamide, cycloserine, chloramphenicol,penicillamine Ref:Postgraduate Hematology by Victor Hoffbrand pg 43,table 3.7 In one of the subtypes of MDS refractory anemia with ringed sideroblasts are seen. Sideroblastic anemia, or sideroachresticanemia, is a form of anemia in which the bone marrow produces ringed sideroblastsrather than healthy red blood cells (erythrocytes) Ref:Postgraduate Hematology by Victor Hoffbrand pg 505 , table 28.2 Ref Robbins 9/e pg412